Salter's Scale is a useful method employed in the field to measure:
1. Mid arm Circumference
2. Length at birth
3. Skin fold thickness
4. Birth weight

Correct answer: 4. Birth weight

Explanation: Bathroom weighing scale is unreliable instrument for measuring weight of children For field conditions, Salter's Spring Scale is quite satisfactory as it is easy to carry.